Which of the following is a flocculation test -
1. Widal test
2. Weil - felix test
3. VDRL
4. Paul - Bunnel test

Correct answer: 3. VDRL

Explanation: The VDRL test fur syphilis is an example of slide flocculation. When a drop each of the antigen and the antiserum are placed on a slide and mixed by shaking, floccules appear. Reference:Anathanarayan & paniker's 9th edition, pg no: 106